True statements regarding epilepsy in pregnancy is:
1. Seizure frequency decreases in majority
2. Monotherapy is preferred to polydrug therapy
3. No increase in incidence of epilepsy in offspring
4. Breastfeeding is contraindicated

Correct answer: 2. Monotherapy is preferred to polydrug therapy

Explanation: Ans. is b, i.e. Monotherapy is preferred to polydrug therapy --Dutta Obs 7/e, p 291As discussed earlier, seizure frequency remains unchanged in majority during pregnancy."Frequency of convulsions is unchanged in majority (50%) and is increased in some." --Dutta 7/e, p 291"The risk of developing epilepsy to the offspring of an epileptic mother is 10%." --Dutta 7/e, p 291So, option c is incorrect."There is no contraindication for breastfeeding." --Dutta 7/e, p 291so option d is incorrect.We have read time and again that monotherapy is preferred in pregnant epileptic patient.